Commonest cause of non-communicating hydrocephalus in children is -
1. Congenital anomaly
2. Perinatal injury
3. Post-inflammatory obstruction
4. Brain tumors

Correct answer: 1. Congenital anomaly

Explanation: Ans. is 'a' i.e., Congenital anomaly Hydrocephalus o Hydrocephalus is characterized by an increased volume of CSF in association with progressive ventricular dilatation. o Hydrocephalus resulting from obstruction within the ventricular system is called obstructive or noncommunicating hydrocephalus. o Hydrocephalus resulting from obliteration of subarachnoid cisterns or malfunction of the arachnoid villi is called nonobstructive or communicating hydrocephalus.